Indusium griseum is found in:
1. Association fibres of corpus callosum
2. Lateral fibres of corpus callosum
3. Medial fibres of corpus callosum
4. Dorsal surface of corpus callosum

Correct answer: 4. Dorsal surface of corpus callosum

Explanation: Ref: Grays Anatomy, 40th edExplanation:Indusium griseum is a thin strip of grey matter found on the dorsal surface of the corpus callosumThe insula is a cortical region hidden within the depths of the lateral fissure by overhanging parts (opercula) of the frontal, parietal and temporal lobes. A complex of gyri on the medial aspect of the hemisphere makes up the limbic lobe.The area of the adult cerebral cortex is approximately 2200 cm2. Its convoluted form increases the cortical volume to three times greater than it would be if the surface were smooth.Two prominent furrows, the lateral (Sylvian) fissure, and the central sulcus are the main features on the superolateral cerebral surface, and they determine its surface divisions.The central sulcus is the boundary between the frontal and parietal lobes and demarcates the primary motor and somatosensory areas of the cortex, located in the precentral and postcentral gyri. respectively.The medial cerebral surface lies within the great longitudinal fissure.The commissural fibers of the corpus callosum lie in the depths of the fissure: the curved anterior part of the corpus callosum, the genu, is continuous below with the rostrum and narrows rapidly as it passes back to the upper end of the lamina terminalis.The cortex immediately below the rostrum is the subcallosal area (para-olfactory gyrus).The genu of the corpus callosum continues above into the trunk or body, which arches up and back to a thick, rounded posterior extremity, the splenium.The bilateral vertical laminae of the septum pellucid urn are attached to the concave surfaces of the trunk, genu, and rostrum, occupying the interval between them and the fornix.The superior end of the central sulcus usually invades the paracentral lobule posteriorly and the precentral gyrus is continuous with the lobule. This area is concerned with movements of the contralateral lower limb and perineal region - clinical evidence suggests that it exercises voluntary control over defaecation and micturition.The calcarine sulcus is deep and produces an elevation, the calcar avis, in the wall of the posterior horn of the lateral ventricle.The area posterior to the upturned end of the cingulate sulcus, and anterior to the parietooccipital sulcus is the precuneus.The uncus is part of the piriform cortex of the olfactory system, phylogenetically one of the oldest parts of the cortex, and is separated from the temporal pole by the rhinal sulcus (fissure) which marks the lateral limit of the entorhinal cortex (area).